Which of the following condition is associated with increased VMA?
1. Rhabdomyosarcoma
2. Pheochromocytoma
3. Nephroblastoma
4. RCC

Correct answer: 2. Pheochromocytoma

Explanation: Ans. is 'b' i.e., Pheochromocytoma * Vanillylmandelic acid (VMA) is an end-stage metabolite of the catecholamines, epinephrine, and norepinephrine.* Urinary VMA, along with other catecholamine metabolites, including homovanillic acid (HVA), metanephrine, and normetanephrine are elevated in patients with tumors that secrete catecholamines (eg, neuroblastoma, pheochromocytoma, or other neural crest tumors).* These tests are used to diagnose neuroblastomas, and to monitor treatment of these conditions.* Elevated values of homovanillic acid (HVA), vanillylmandelic acid (VMA), and other catecholamine metabolites (eg, dopamine) may be suggestive of the presence of a catecholamine-secreting tumor.